An 80-year old male diabetic has a 7-cm, pulsating mass in the midline of his lower abdomen, He has poor pulses in his lower extremities. Which of the following complications of aortic atherosclerosis is responsible for the development of this lesion?
1. Ulceration of atherosclerotic plaque
2. Thrombosis overlying atherosclerotic plaque
3. Hemorrhage into the plaque substance
4. Atrophy (thinning) of the media

Correct answer: 4. Atrophy (thinning) of the media

Explanation: Aneurysms, including aortic aneurysms, form in areas of weakness of an arterial wall. Abdominal aortic aneurysms are typically atherosclerotic in origin. Atherosclerotic plaques compress the media, and this can cause atrophy of the media. Because the media provides elasticity and support to the vessel wall, weakening of the media predisposes to aneurysmal dilatation. Ulceration, thrombosis, and hemorrhage occur superficially in atheromatous plaques and tend to promote narrowing of arterial lumens, not arterial dilation. Cystic medial necrosis is a feature of Marfan syndrome.